The following methods can be used to detect the point mutation in the beta ((3)-globin gene that causes sickle cell anemia, except:
1. Polymerase chain reaction with allele-specific oligonucleotide hybridization
2. Southern blot analysis
3. DNA sequencing
4. Northern blot analysis

Correct answer: 4. Northern blot analysis

Explanation: D i.e. Northern blot analysis Definitive diagnosis of a point mutation in the beta globin gene requires DNA analysis. Northern blot test is a technique used to study the RNA, rather than DNA and hence is the answer of exclusion. Polymerase chain reaction, DNA Sequencing and southern blot testing are rapid methods for DNA analysis, and can all be used to detect the point mutation in the globin Bens. 'The advent of polymerase chain reaction (PCR), allele specific oligonucleotide hybridization and automated DNA sequencing has made it possible to identify globin gene mutations in a few days'. 'The southern blot technique is a fast way of analyzing a small number of DNA fragments, for instance the sickle cell mutation. Before PCR and cheap fast sequencing became available, the southern blot was the universal workhorse. The northern blot is a technique to analyze RNA rather than DNA. This is thus the answer of exclusion.